A 28 weeks pregnant primigravida, presented with intermittent fever with chills, headache and myalgia. Peripheral smear shows malarial parasites. All of the following medicines can be given to this patient, EXCEPT:
1. Chloroquine
2. Primaquine
3. Mefloquine
4. Quinine

Correct answer: 2. Primaquine

Explanation: Chloroquine is the treatment of choice for malaria caused by all sensitive Plasmodium species. For the woman with chloroquine-resistant infection, which constitutes the majority of falciparum infections, quinine plus clindamycin is currently recommended. Quinine may induce hyperinsulinemia and thus, possible maternal and fetal hypoglycemia. Mefloquine is generally considered safe in young children and pregnant women. Primaquine and doxycycline are contraindicated in pregnancy. Ref: Cunningham F.G., Leveno K.J., Bloom S.L., Hauth J.C., Rouse D.J., Spong C.Y. (2010). Chapter 58. Infectious Diseases. In F.G. Cunningham, K.J. Leveno, S.L. Bloom, J.C. Hauth, D.J. Rouse, C.Y. Spong (Eds), Williams Obstetrics, 23e.